The most common infectious agent associated with chronic pyelonephritis is
1. Proteus vulgaris
2. Klebsiella pneumonia
3. Staphylococcus aureus
4. Escherichia coli

Correct answer: 4. Escherichia coli

Explanation: In most urinary tract infections, the infecting organisms are derived from the patient's own fecal flora. The most common is E.coli, followed by Proteus, Klebsiella, and Enterobacter. Ref: Pathologic basis of disease Robbins, volume 2, Pg no:930